Which is not true about learning -
1. Conscious
2. Temporary change in behaviour
3. Acquiring new fears
4. Formation of habits

Correct answer: 2. Temporary change in behaviour

Explanation: Ans. is 'b' i.e., Temporary change in behaviour Learningo Learing is any relative permanent change in behaviour that occurs as a result of practice of experience,o It means acquiring something new- new knowledge, new techniques, new skills, new fears and new experiences.o Learing is necessary for man's survival and for human progress.o It includes not only acquiring knowledge but also skills and formation of habits, and development of perception,o Learing depends largely upon intelligence.o Learing also depends upon motivation, and motivation depends on the need sutdents feel to learn,o Learing is a continuous process. It is both conscious and unconscious.